One of the following is due to point mutation-
1. Colour blindness
2. Sickle cell anemia
3. Diabetes
4. Pophyria

Correct answer: 2. Sickle cell anemia

Explanation: Ans. is 'b' i.e., Sickle cell anemia